Striate cortex of brain controls
1. Speech
2. Vision
3. Balance
4. Audiotory

Correct answer: 2. Vision

Explanation: Striate cortex is the primary sensory cortical area for vision. Damage to striate cortex causes blind regions, called scotomas, in the field of vision Ref: guyton and hall textbook of medical physiology 12 edition page number:753,754,755